A peripheral smear with increased neutrophils, basophils, eosinophils and platelets is highly suggestive of:
1. Actute myeloid leukemia
2. Acute lymphoblastic leukemia
3. Chronic myelogenous leukemia
4. Myelodysplastic syndrome

Correct answer: 3. Chronic myelogenous leukemia

Explanation: . Chronic myelogenous leukemia